What is the COMMONEST cause of primary amenorrhea with ambiguous genitalia in a female with 46XX chromosome?
1. 21 hydroxylase def
2. 17 hydroxylase def
3. 11 hydroxylase def
4. Desmolase hydrolase def

Correct answer: 1. 21 hydroxylase def

Explanation: 21 hydroxylase deficiency is the most common cause of androgenization in chromosomal 46 XX females. In this condition there is a block in the synthesis of glucocorticoid and mineralocorticoid and increase in the level of 17 hydroxyprogesterone. Increased androgen synthesis in utero causes androgenization of the female fetus in the first trimester. At birth, there is ambiguous genitalia with varying degrees of clitoral enlargement and labial fusion. Enzyme deficiency Glucocorticoids Mineralocorticoids Androgens Other effects 21 b OH lase low low increased Masculinization of females in utero Incomplete precocious puberty Adrenal hyperplasia Hyponatremia and hypovolemia 11 b OH lase low low aldosterone high DOC increased Mineralocorticoid excess (DOC) Hypervolemia and hypernatremia 17 a OH lase low low aldosterone high DOC very low DOC excess Absent secondary sexual characters Amenorrhea Ref: Achermann J.C., Jameson J.L. (2012). Chapter 349. Disorders of Sex Development. In D.L. Longo, A.S. Fauci, D.L. Kasper, S.L. Hauser, J.L. Jameson, J. Loscalzo (Eds), Harrison's Principles of Internal Medicine, 18e.